Octreotide is given in all the following conditions except:
1. Bleeding esophageal varices
2. Secretory diarrhea
3. Infective diarrhea
4. Acromegaly

Correct answer: 3. Infective diarrhea